A 25 year old man presents with recurrent episodes of flexural eczema, contact urticaria, recurrent skin infections and severe abdominal cramps and diarrhoea upon taking sea foods. What is he most likely suffering from?
1. Atopic dermatitis
2. Airborne contact dermatitis
3. Nummular dermatitis
4. Seborrheic dermatitis

Correct answer: 1. Atopic dermatitis

Explanation: Development of episodes of eczema, skin infections and diarrhea after taking sea foods indicate that he is susceptible to atopic reactions. Atopic dermatitis is a chronic, pruritic dermatitis which occur in individuals with a personal or family history of an atopic diathesis (atopic dermatitis, asthma, allergic rhinitis). This disease has its onset in infancy or childhood. Patients presents with erythematous papulovesicular rash involving the flexural and extensor surfaces of the arms and legs. Later, scaly lichenified patches and plaques appear. Thinning of the lateral eye brows in atopic dermatitis is called Hertoghe's sign. Dennie Morgan fold is also seen in atopic dermatitis. Ref: Gynecologic Pathology E-Book By Marisa R. Nucci, Page 15; G R S (Geriatrics Review Syllabus) By John C. Beck, Page 391; Diagnostic Gynecologic and Obstetric Pathology E-Book By Christopher P. Crum, 2nd Edition.